Somites are derived from ----- mesoderm
1. Intermediate plate
2. Lateral plate
3. Paraxial
4. Extraembryonic

Correct answer: 3. Paraxial

Explanation: The intraembryonic mesoderm splits into:Paraxial which forms SomitesIntermediate plate gives rise to the Genital & Urinary systemLateral plate encloses a cavity called the intraembryonic coelom, which further forms the pericardial, peritoneal & pleural cavities